Brown's tumour is seen in:
1. Hyperthyroidism
2. Hyperparathyroidism
3. Osteoporosis
4. Osteogenesis imperfecta

Correct answer: 2. Hyperparathyroidism

Explanation: Advanced primary hyperparathyroidism pathognomonic radiologic findings, which are best seen on x-rays of the hands and are characterized by subperiosteal resorption. The skull also may be affected and appears mottled with a loss of definition of the inner and outer cortices. Brown or osteoclastic tumors and bone cysts also may be present. Ref: Schwartz's principle of surgery 9th edition, chapter 38.